All are pneumatization patterns ot sphenoid sinus except:
1. Pre sellar
2. Post sellar
3. Concha bullosa
4. Conchal

Correct answer: 3. Concha bullosa

Explanation: Three types of sphenoid sinus pneumatization patterns have been found.Pneumatisation patterns depend on the position of thr sinus in relation to the sella turcica. Ref Dhingra 6/e,p 188.